Which statement is false regarding familial adenomatous polyposis -
1. Males are usually carriers
2. Autosomal dominant inheritance
3. If not treated progress to malignancy in 100% of cases
4. Males and females are affected equally.

Correct answer: 1. Males are usually carriers

Explanation: Familial polyposis coli is an autosomal dominant* Condition affecting males and females equally.
Carcinomatous change supervenes in these polyps in 100% of cases by the age of 30-35 yrs.
As it is autosomal dominant condition, no carrier state exists.